Right tracheobronchial angle is
1. 10- 15 Degree
2. 25-30 Degree
3. 40-50 Degree
4. 80-90 Degree

Correct answer: 2. 25-30 Degree

Explanation: Right tracheobronchial angle is 25-30 degree . Ref - Researvhgate.net